Focus group discussion should have
1. 4 - 6 members
2. 6 - 12 members
3. > 12 members
4. < 4 members

Correct answer: 2. 6 - 12 members